Which of the following anticoagulants prevent clotting of blood in the normal vascular system:
1. Antithrombin III
2. Plasminogen
3. Fibrinogen
4. Heparin

Correct answer: 1. Antithrombin III

Explanation: A i.e. Antithrombin III